Benedict's hand is due to injury to
1. Ulnar nerve
2. Median nerve
3. Axillary nerve
4. Radial nerve

Correct answer: 2. Median nerve

Explanation: BENEDICTION ATTITUDE:-Injury to median nerve at elbow Causes:- supracondylar fractures of humerus, application of tight tourniquet during venepuncture, entrapment of the nerve between two heads of pronator teres.When patient tries to make fist, the index and middle fingers remain straight, due to paralysis of both superficial and deep flexors of fingers.The ring and little fingers can be kept in flexed position due to intact nerve supply of medial half of the FDP.{Reference:Vishram Singh, page no.195}